Disadvantages of high-speed instrumentation is
1. aerosol spray inhalation
2. Loss of tactile sensation to the operator
3. heat production
4. all the above

Correct answer: 4. all the above